pH= 7.30, pCO2= 38, HCO3 = 18, Diagnosis is?
1. Metabolic acidosis with compensatory respiratory alkalosis
2. Respiratory acidosis with compensatory metabolic alkalosis
3. Respiratory alkalosis with compensatory metabolic acidosis
4. Metabolic acidosis with respiratory acidosis

Correct answer: 4. Metabolic acidosis with respiratory acidosis

Explanation: Since pH is less, and HCO3 is less, it implies metabolic acidosis Now for compensation pCO2 = HCO3+ 15 = 18 + 15 = 33 The value predicted is not matching with given pCO2 of 38 mmHg. It implies compensation is not there and it is a mixed disorder. Conclusion metabolic acidosis with respiratory acidosis.